The gene for Wilson's disease is on
1. Long arm of Chromosome 13
2. Long arm of Chromosome 6
3. Short arm of Chromosome 13
4. Short arm of Chromosome 6

Correct answer: 1. Long arm of Chromosome 13

Explanation: In Wilson's disease,the underlying defect lies in the long arm of chromosome 13 where there is a mutation in ATP7B gene,the normal hepatic copper- excreting gene.Eventually,capacity of hepatocytes to store copper is exceeded and copper is released into circulation which then gets deposited in extrahepatic tissues such as the brain eyes, and others. Reference:Textbook of pathology-Harsh Mohan,6th edition,page no:628